Which of the following infection is associated with the presence of Clue cells?
1. Bacterial vaginosis
2. HSV 2 infection
3. Syphilis
4. Trichomoniasis

Correct answer: 1. Bacterial vaginosis

Explanation: Clue cells are vaginal epithelial cells that are covered with bacteria giving them granular appearance and indistinct borders. It is a result of altered vaginal bacterial flora which occur in Bacterial vaginosis. Microscopic examination for clue cells is performed with a wet mount or a stained preparation using Papinicolaou or gram stain. Diagnosis of bacterial vaginosis requires the presence of 3 out of 4 clinical abnormalities: Objective signs of increased white homogeneous vaginal discharge. Vaginal discharge with pH of > 4.5. Positive Whiff's test or Amines test (addition of 10%KOH to vaginal discharge produces fishy odour, this is attributable to volatile amines such as trimethylamine). Microscopic demonstration of Clue cells.